Population covered by community health center-
1. 5000
2. 30000
3. 50000
4. 80000-120000

Correct answer: 4. 80000-120000

Explanation: Ans. is 'd' i.e., 80000-120000 o A subcentre caters a population of - 5000 in general 3000 in hilly, tribal & backward areas o A PHC caters a population of - 30,000 in general A 20,000 in hilly, tribal & backward area. o A Community health centre caters a population of - 80,000 to 1.2 lakh. o A health assistant (male & females) are at a population of - 30,000 in general or (20,000 in hilly, tribal or backward area.) o Male and female health workers are at a population of - 5000 in general or 3000 in hilly, tribal or backward area. o Health guide caters a population of - 1000 o Anganwadi workers - 1000 o Local dai - 1000